A young man is with known heroin addiction is brought in the emergency in an unconscious state. On examination, the patient has decreased bowel sounds, depressed respiration and pinpoint pupil. The treatment of choice for this patient is
1. Oral naltrexone
2. IV naloxone
3. Oral diazepam
4. Oral Buprenorphine

Correct answer: 2. IV naloxone